All are true about blood supply of cerebral hemispheres except
1. MCA is main supply of superolateral surface
2. ACA is main supply of inferior surface
3. PCA is main supply of inferior surface
4. All three arteries supply each surface

Correct answer: 2. ACA is main supply of inferior surface

Explanation: Most of the Inferior surface is supplied by the posterior cerebral artery.anterior cerebral artery supplies most of the medial surface of brain, medial part of orbital surface of frontal lobe and a narrow strip of cerebral cortex adjoining superomedial border.(Ref: Vishram Singh textbook of clinical neuroanatomy second edition pg 178)